Drug of choice for neonatal seizures is?
1. Phenobarbitone
2. Phenytoin
3. Valproate
4. Levetiracetam

Correct answer: 1. Phenobarbitone

Explanation: - Most common type of neonatal seizures is subtle seizures - Drug of choice for neonatal seizures is Phenobarbitone.